The ideal treatment for hemothorax of blood loss greater than 500 ml/hour -
1. Wait and watch
2. Needle aspiration
3. Intercostal tube
4. Open thoracotomy with ligation of vessel

Correct answer: 4. Open thoracotomy with ligation of vessel

Explanation: Answer is 'd' i.e. Open thoracotomy with ligation of vessel